The % of coincidence between sore throat and acute rheumatic fever is -
1. 3%
2. 5%
3. 7%
4. 9%

Correct answer: 1. 3%

Explanation: Ans. is 'a' i.e., 3% Only a small proportion of patients with streptococcal pharyngeal infection develops Rheumatic fever. Attack rate is less than 3%